Regarding phenytoin ,false is:
1. Induces microsomal enzymes
2. At very low doses,zero order kinetics occurs
3. Higher the dose,higher is half life
4. Highly protein bound

Correct answer: 2. At very low doses,zero order kinetics occurs

Explanation: The kinetics of metabolism is capacity limited; changes from first order to zero order over the therapeutic range-- REF: KD TRIPATHI 8TH ED. page 414